While calculating the incubation period for measles in a group of 25 kids, standard deviation is 2 and the mean incubation period is 8 days, calculate Standard error.
1. 0.4
2. 1
3. 2
4. 0.5

Correct answer: 1. 0.4

Explanation: STANDARD ERROR OF MEAN (SEMEAN) SEmean is the measure of difference between sample and population mean values whatever be the sampling procedure or the care taken while selecting sample, the sample estimates (statistics) will differ from population values (parameters) * SE is a 'measure of chance variation', and IT DOES NOT mean an error or mistake. In the given question, n =25 kids, Standard deviation (s) = 2, Mean incubation period (u) = 8 days, * Thus, standard error = 2/5 = 0.4